All the following strains of Salmonella are motile by peritrichous flagella except
1. S. bongor
2. S. Gallinarum pullorum
3. S. choleraesuis
4. Salmonella enterica

Correct answer: 2. S. Gallinarum pullorum

Explanation: Certain members of the family Enterobacteriaceae are non-motile-Atypical E.coli, Klebsiella, Shigella, Yersinia pestis, and Salmonella gallinarum-pullorum Ref ganong's review of medical physiology 25e